Most common congenital middle ear abnormality:
1. Absent footplate of stapes
2. Fixation of footplate of stapes
3. Oval window abnormality
4. Absent long process of incus

Correct answer: 2. Fixation of footplate of stapes

Explanation: (b) Fixation of footplate of stapes(Ref. Scott Brown, 8th ed., Vol 2, page 108)According to Teunissen and Cremers classification, the most common congenital anomaly of the middle ear is fixation of footplate of stapes.